In family welfare programme, score of 1 is given to:
1. Birth rate
2. Net reproduction rate
3. Achievement of goal
4. Total implementation of programme

Correct answer: 2. Net reproduction rate

Explanation: Ans. is 'b' i.e. Net reproductive rate NRR of 1 is equivalent to attaining approx., the 2 child norm*The Govt, of India in 1983 adopted the policy of attaining a NRR of 1 by the year 1996 (now to be achieved by 2006).